Irregular and infrequent menstruation is known as:
1. Amenorrhoea
2. Oligomenorrhoea
3. Polymenorrhoea
4. Menorrhagia

Correct answer: 2. Oligomenorrhoea

Explanation: Ans: B i.e. Oligomenorrhoea Menstrual disorders Amenorrhoea indicates the absence of menstruation Oligomenorrhoea denotes infrequent, irregularly timed episodes of bleeding usually occurring at intervals of 35 days Polymennorhoea denotes frequent episodes of menstruation, usually occurring at intervals of 21 days or less Menorrhagia denotes regularly timed episodes of bleeding that are excessive in amount (> 80 ml) and/ or duration of flow (>5 days).